Most common phase I biotransformation reaction is?
1. Oxidation
2. Hydrolysis
3. Cyclisation
4. Reduction

Correct answer: 1. Oxidation

Explanation: Ans. is 'a' i.e., Oxidation Oxidation is the most important metabolizing reaction.